Woodruff plexus is seen at
1. Anteroinferior part of superior turbinate
2. Middle turbinate
3. Posterior part of inferior turbinate
4. Anterior part of inferior turbinate

Correct answer: 3. Posterior part of inferior turbinate

Explanation: It is a plexus of veins situated inferior to posterior end of inferior turbinate . It is a site of posterior epistaxis in adults . ( Ref : Diseases of ENT , PL Dhingra , 6th edition , Pg no . 176 )